According to Ann Arbor staging Hodgkins lymphoma, stage III includes?
1. Involvement of the nodes of same side
2. Liver infiltration
3. Involvement of Lymph node region on lymphoid structure on both sides of the diaphragm
4. Disseminated involvement of the extralymphatic sites including the bone marrow and bronchial infiltration.

Correct answer: 3. Involvement of Lymph node region on lymphoid structure on both sides of the diaphragm